Pulled up cecum is seen in
1. CA colon
2. Carcinoid
3. Ileocaecal tuberculosis
4. Crohn's disease

Correct answer: 3. Ileocaecal tuberculosis

Explanation: Pulled up conical caecum is the finding seen in ileocaecal TB in Barium study X ray (enteroclysis followed by barium enema or barium meal follow through X ray) Reference : page 584 SRB's manual of surgery 5th edition